The following structure represents all the 3 components of the embryonic disc
1. Tympanic membrane
2. Retina
3. Meninges
4. None of the above

Correct answer: 1. Tympanic membrane

Explanation: The outer epithelial layer formed by the ectoderm, inner mucosal layer by the endoderm and middle fibrous layer by the mesoderm. Ref: Dhingra 6th edition page no.12